Crystalline Lens is derived from
1. Surface ectoderm
2. Neuroectoderm
3. Mesoderm
4. Endoderm

Correct answer: 1. Surface ectoderm

Explanation: - Eye ball have contribution from several structures - Neural plate ectoderm forms Neural tube form - CNS which have diencephalon part of brain aExtension of diencephalon (optic sulcus) into eyeball form retina (optic cup) & optic nerve (optic stalk) - Neural plate ectoderm also forms - epithelium of ciliary body & iris muscle - Muscles of Iris - Sphincter pupillae, dilator pupillae - Eye ball have some contribution from surface ectoderm as well which gives Surface epithelium of cornea (1st layer) Eye lens - Most of derivatives in eyeball come from neural crest cells which gives Secondary mesoderm of eyeball - Forms sclera, choroid, ciliary body & Iris (not epithelium) - All other layers of cornea except 1st layer develops from N.C.C